In hemochromatosis, all are affected EXCEPT:
1. CNS
2. Bronze Pancreas
3. Hyperpigmentation
4. Restrictive cardiomyopathy

Correct answer: 1. CNS

Explanation: Organs Involved in Hemochromatosis are Liver (first organ to be affected)=95% Excessive skin pigmentation Diabetes mellitus (bronze diabetes) Arthropathy Cardiac involvement (restrictive cardiomyopathy) Pituitary involvement (leading to hypopituitarism and hypogonadism) Note : =All the malabsorption syndromes are associated with decreased absorption except Hemochromatosis and Wilson's where absorption of Iron and Copper are increased respectively . Symptoms and Signs The onset is usually after age 50--earlier in men than in women Early symptoms are nonspecific (eg, fatigue, arthralgia) Later clinical manifestations Arthropathy (and the need for joint replacement surgery), hepatomegaly, and evidence of hepatic dysfunction Skin pigmentation (combination of slate gray due to iron and brown due to melanin, sometimes resulting in a bronze color) Cardiac enlargement with or without heart failure or conduction defects, diabetes mellitus with its complications, and erectile dysfunction in men Bleeding from esophageal varices